Venous emboli are most often lodged in
1. Intestines
2. Lungs
3. Kidneys
4. Heart

Correct answer: 2. Lungs